DNA repair defect is associated with -
1. Xeroderma pigmentosum
2. Icthyosis
3. Angelman syndrome
4. DiGeorge's syndrome

Correct answer: 1. Xeroderma pigmentosum

Explanation: Defective DNA repair syndromes are : Xeroderma pigmentosa, Bloom syndrome, Fanconi syndrome and ataxia telongectisia.